All of the following are features of an intraepidermal bullae, EXCEPT:
1. Flaccidity
2. Contains serous/turbid fluid
3. Have thick roof and less likely to rupture
4. Leaves hyperpigmentation on healing

Correct answer: 3. Have thick roof and less likely to rupture

Explanation: Intraepidermal bullae has thin roof and rupture less readily. Where as subcorneal bullae has very thin roof so rupture very easily, and bullae at dermoepidermal junction has thick roof and rupture least readily. Characteristics of different bullae: Subcorneal Intraepidermal Dermoepidermal Level of split Below stratum corneum In epidermis At dermoepidermal junction Ease of rupture very thin roof, rupture very easily thin roof rupture less readily thick roof, rupture least readily Flaccidity Very flaccid Usually flaccid Usually tense Contents Scanty fluid Serous/turbid fluid Serous/turbid often hemorrhagic fluid On rupturing Form areas of scale crust, no erosions Form erosions covered with crusts Form erosions or ulcers covered with crusts, often hemorrhagic On healing Normal skin Hyperpigmentation Milia and scarring Examples Pemphigus foliaceus Bullous impetigo Pemphigus vulgaris Bullous pemphigoid Ref: Illustrated Synopsis Of Dermatology & Sexually Transmitted Diseases By Khanna page 7